Characteristic lesion of scabies is:
1. Burrow
2. Fissure
3. Vesicle
4. Papule

Correct answer: 1. Burrow

Explanation: Ans is 'a' i.e, Burrow Burrows are very important feature of the disease